Lymphatics from the spongy urethra drain into the following lymph nodes?
1. Superior inguinal nodes
2. Internal inguinal nodes
3. Deep inguinal nodes
4. Sacral nodes

Correct answer: 3. Deep inguinal nodes

Explanation: Lymphatics from the spongy urethra pass mostly to the deep inguinal lymph nodes.